Drug of choice in PSVT is :
1. Amiodarone
2. Lingnocaine
3. Quinidine
4. Adenosine

Correct answer: 4. Adenosine

Explanation: Answer is D (Adenosine) Drug of choice for PSVT is Adenosine Agents of First choice include Agent of second choice are Adenosine (Drug of choice)p blockers Q Verapami I Adenosine is preferred over Verapamil because of its extremely short half life, and lesser incidence of side effects Q Thus DOC for PSVT is Adenosine.2